In children presence of increased fecal fat excretion and increased fecal nitrogen levels is a feature of All Except -
1. Pancreatic-insufficency
2. Bacterior overgrowth syndrome
3. Coeliac sprue
4. Ulcerative-colitis

Correct answer: 4. Ulcerative-colitis

Explanation: Ans. is 'd' i.e., Ulcerative colitis This child has ? 1) Steotorrhea It is defined as increased fecal fat excretion. Quantitatively it is defined as, when fecal fat is > 7 gm/day. 2) Azotorrhoea It is defined as increased fecal nitrogen. Quantitatively, when fecal nitrogen is >3 gm/day. Fecal nitrogen is derived from dietry protein. Steotorrhea and Azotorrhoea occur in malabsorption syndromes due to any cause --> fat and proteins are not absorbed. Which results in steatorrhea and Azotorrhea. o Important causes in children are - i) Chronic pancreatitis ii) Bacterial overgrowth syndrome iii) Ileal disease (crohn's disease) iv) Celiac sprue v) Intestinal lymphangiectasia